True about sipple syndrome is?
1. MCT, Pheochromocytoma, Mucocutaneous neuromas
2. MCT, Pheochromocytoma, Parathyroid adenomas
3. MCT, Pheochromocytoma, Pancreatic tumours
4. MCT, Pheochromocytoma, Diabetes

Correct answer: 2. MCT, Pheochromocytoma, Parathyroid adenomas

Explanation: MEN 2 (also known as MEN 2a or Sipple's syndrome) Ref - davidsons 23e p689